Cranial nerve most commonly involved in posterior communicating artery aneurysm is:
1. Oculomotor
2. Facial
3. Optic
4. Trigeminal

Correct answer: 1. Oculomotor

Explanation: Ans. A i.e. Oculomotor